hypnopompic hallucination is
1. If experienced while falling asleep
2. If experienced while awakening
3. After head trauma
4. After convulsion

Correct answer: 2. If experienced while awakening

Explanation: HPNOPOMPIC HALLUCINATION Hallucination while the person wakes up from sleep * NARCOLEPSY * Cataplexy ( loss of muscle tone) * Hynogogic hallucination * Hynopompic hallucination * Sleep paralysis * Excessive day time sleepiness * Strong emotions can trigger cataplexy * ETIOLOGY======HYPOCRETIN DEFICIENCY in LATERAL HPOTHALAMUS * TREATMENT=====MODAFINIL AND psychostimulants MOST REPEATED ONW WORD NARCOLEPSY HAS CATAPLEXY (sudden loss of tone and falls to sleep) CATATONIA HAS CATALEPSY (abnormal postures) Ref.kaplon and sadock, synopsis of pzychiatry, 11th edition, pg no.536